Best test for esophageal varices is
1. CT scan
2. Gastroesophagoscopy
3. Tomography
4. Ultrasound

Correct answer: 2. Gastroesophagoscopy